The process of coating a microbe, to target it for phagocytosis is:
1. Diapedesis
2. Margination
3. Chemotaxis
4. Opsonisation

Correct answer: 4. Opsonisation

Explanation: Opsoniztion:- Refer to coating of microbes or self cell by antibodies, which facilitates the phagocytosis of the same cell or microbe. Chemotaxis:-It is movement or migration of cell from from one place to another, eg, Migration of Neutrophils during inflammation Diapedesis:-Passage of blood cells through the intact walls of capillaries, eg, WBC at inflammed site. PECAM-1 OR CD31 useful for diapedesis.